Which of the following statements are true regarding papillary carcinoma of thyroid in comparison to follicular carcinoma thyroid? 1. More male preponderance 2. Bilaterality 3. Local recurrence common 4. Increased mortality 5. Increased lymph node metastasis
1. 1,2 & 3
2. 2,3 & 4
3. 2,3 & 5
4. 1,3 & 5

Correct answer: 3. 2,3 & 5

Explanation: Comparison between papillary and follicular carcinoma of thyroid Feature Papillary Carcinoma Follicular carcinoma Male incidence + ++ Lymph node metastasis +++ + Blood vessel invasion + +++ Recurrence rate + ++ Overall mortality + ++ Distant metastasis + ++ Nodal Metastasis +++ + Local recurrence ++ + Bilaterality +++ + Ref: Bailey & Love 25/e, Page 794.